The actions of superior oblique muscle is A/E:
1. Abduction
2. Intorsion
3. Extorsion
4. Depression

Correct answer: 3. Extorsion

Explanation: C i.e., Extorsion